Insulin of choice for the treatment of diabetes ketoacidosis is:
1. Regular Insulin
2. NPH insulin
3. Insulin glargine
4. Insulin lispro

Correct answer: 1. Regular Insulin

Explanation: Diabetic ketoacidosis is emergency, need to give insulin by I/V route Insulin available in I/V route is regular insulin Regular insulin is DOC for diabetic ketoacidosis